GWAS stands for:
1. Genome wide Association syndrome
2. Genome wide Association studies
3. Genetic wide array studies
4. Genetic wide amplification studies

Correct answer: 2. Genome wide Association studies

Explanation: Ans. (b) Genome wide association studies(Ref: Robbins 9th/ pg 179)GWAS refers to 'Genome Wide Association Studies' QIn GWAS, entire genome of large number of individuals with and without a disease are examined for common genetic variants or polymorphisms that are overrepresented in patients with the disease.